Only indication for internal version nowadays is:
1. Brow presentation
2. Face presentation
3. Second fetus of twins
4. Breech

Correct answer: 3. Second fetus of twins

Explanation: Second fetus of twins